Adenosine deaminase deficiency results in:-
1. Common variable immunodeficiency
2. Severe combined immunodeficiency
3. Chronic granulomatous disease
4. Check syndrome

Correct answer: 2. Severe combined immunodeficiency